Trotter's triad is seen in -
1. Nospharyngeal angiofibroma
2. Nasal polyposis
3. Nasopharyngeal carcinoma
4. Acoustic neuroma

Correct answer: 3. Nasopharyngeal carcinoma

Explanation: Ans. is 'c' i.e., Nasopharyngeal carcinoma Trotter's triado Trotter's triad occurs in nasopharyngeal carcinoma o It includesConductive deafness (due to Eustachian tube blockage)Temporo - parietal neuralgia (due to involvement of ipsilateral Vth cranial nerve)Palatal paralysis (due to involvement of Xth cranial nerve)